Which of the following is preferred for infertility treatment of a female with increased prolactin levels?
1. Dopamine
2. Carbidopa
3. Cabergoline
4. Bromocriptine

Correct answer: 3. Cabergoline

Explanation: Ans. is 'c' i.e., Cabergoline Both Bromocriptine and cabergoline can be used as both decrease prolactin levels, however, cabergoline is better tolerated.